Saliva is secreted by
1. Major salivary glands
2. Minor salivary glands
3. Major & minor salivary glands
4. Parotid gland

Correct answer: 3. Major & minor salivary glands